Which of the following is used as an antidote for organophosphorus poisoning?
1. Pralidoxime aldoxime methiodide(PAM)
2. N- acetyl cysteine
3. Physostigmine
4. Flumazenil

Correct answer: 1. Pralidoxime aldoxime methiodide(PAM)

Explanation: Ans. A. Pralidoxime aldoxime methiodide (PAM)Antidotes for common poisoningPoisonAntidoteAcetaminophenN-acetyl cysteineAnticholinergicsPhysostigmineBenzodiazepinesFlumazenilMethemoglobinemiaMethylene blueOpioidsNaloxone